Drugs used in the treatment of rhinoscleroma include all except:
1. Streptomycin
2. Ciprofloxacin
3. Tetracycline
4. Erythromycin

Correct answer: 4. Erythromycin

Explanation: Drugs used for treatment of rhinoscleroma are streptomycin (1g/day), ciprofloxacin (Ig/day)or tetracycline (2g/day). Treatment is continued till clinical improvement and negative tissue cultures are obtained.